Investigation of choice for diagnosis of CA colon
1. Colonoscopy
2. Double contrast barium enema
3. Triple phase CT
4. Virtual colonoscopy

Correct answer: 1. Colonoscopy

Explanation: Colonoscopy is the "gold standard" for establishing the diagnosis of colon cancer. It permits biopsy of a tumour to verify the diagnosis while allowing inspection of the entire colon to exclude metachronous polyps or cancers; the incidence of a synchronous cancer is approximately 3%. Colonoscopy is generally performed even after a cancer is detected by barium enema to obtain a biopsy specimen and to detect (and remove) small polyps that may be missed by the contrast studyRef: Sabiston, 20e, page: 1398